Amino acid which is usehil in Neutrophil extracellular traps (NETs) as to causes lysis of chromatin is?
1. Arginine
2. Alanine
3. Phenyl alanine
4. Valine

Correct answer: 1. Arginine

Explanation: Ans. (a) Arginine(Ref: R 9th/pg 81)NETs contain a framework of nuclear chromatin with embedded granule proteins, such as antimicrobial peptides and enzymes. The nuclear chromatin in the NETs, includes histones and associated DNA. Histone modification by peptidylarginine deiminase 4 (PAD4) is necessary for NET release.